Metabolites of tryptophan can give rise to:
1. Diarrhoea
2. Vasoconstriction
3. Flushing
4. All

Correct answer: 4. All

Explanation: Trytophan is an essential amino acid and is precursor of Serotonin, Melatonin & Niacin.Clinical effects of Serotonin or 5Htase: Symptoms occur due to effect on smooth muscle. Cutaneous vasomotor episodes of flushing.- Potent vasoconstriction.- Chronic diarrhoeaRespiratory distress & bronchospasm.Albinism accompanies defective melanine, product of tyrosine biosynthesis